Which of the following catheter materials is most suited for long-term use is
1. Latex
2. Silicone
3. Rubber
4. Polyurethane

Correct answer: 2. Silicone

Explanation: .Silicone is most suited for long-term use because it is inert and unreactive to body fluids and a range of medical fluids with which it might come into contact.